Aganglionic segment is encountered in which part of colon in case of Hirchsprung's disease ?
1. Distal to dilated segment
2. In whole colon
3. Proximal to dilated segment
4. In dilated segment

Correct answer: 1. Distal to dilated segment

Explanation: Ans is 'a' ie. 'Distal to the dilated segment' " The major feature of Hirschsprung ds is an absence of ganglion cells in the neural plexus of the intestinal wall, together with hypertrophy of nerve trunks. The absence of ganglion cells gives rise to a contracted non-peristaltic segment with a dilated hypertrophied segment of normal colon above it."- Bailey 24/e Similar loss of ganglion cells is seen in Achalasia of oesophagus. Achalasia is due to loss of ganglion cells in Myenteric or Auerbachs plexus. Achalasia differs from the hirschsprung ds of the colon in that the dilated esophagus contains no ganglion cells (or few cells) but the dilated colon contains normal ganglion cells.